Zwitterions have
1. +ve ions>- ions
2. + ve ions < - ions
3. + ve ions = -ve ions
4. None of these

Correct answer: 3. + ve ions = -ve ions

Explanation: In chemistry, a zwitterion (/'tsvIt@r.aI.@n/ tsvit-@r-eye-@n; fromGerman zwitter "hybrid" and formerly called a dipolar ion)is a neutral molecule with a positive and a negative electrical charge, distinct from dipoles, at different locations within that molecule. Amino acids are the best-known examples of zwitterions. These compounds contain an ammonium and a carboxylate group and can be viewed as arising a kind of intramolecular acid-basereaction: The amine group deprotonates the carboxylic acid.Ref: Textbook of Medical Biochemistry, MN Chatterji, 8th Edition, Page no: 81